For karyotyping, the dividing cells are arrested by the addition of colchicines in the following mitotic phase
1. Prophase
2. Metaphase
3. Anaphase
4. Telophase

Correct answer: 2. Metaphase

Explanation: b. Metaphase(Ref: Nelson's 20/e p 605-606, Ghai 8/e p 645)Chromosomes are examined after arresting dividing cells in metaphase with mitotic spindle inhibitors (e.g., N-diacetyl- N-methylcolchicine), followed by staining.